Drugs causing cholestatic jaundice are :  a) Estrogen b) Cyclosporine c) INH d) Phenothiazine e) Ethambutol
1. acd
2. abd
3. bde
4. ace

Correct answer: 2. abd